Verrucosa vulgaris is caused by –
1. HPV
2. EBV
3. CMV
4. HIV

Correct answer: 1. HPV